Hemodialysis related complications are all of the following except:
1. Altered cardiovascular dynamics
2. Anaphylactoid reaction
3. Hypertension
4. Muscle cramps

Correct answer: 3. Hypertension

Explanation: Ans. C: Hypertension Complication of hemodialysis: Fever- Bacteremia, water-borne pyrogens, overheated dialysate Hypotension - Excessive ultrafiltration, cardiac arrhythmia, air embolus, pericardial tamponade; hemorrhage (gastrointestinal, intracranial, retroperitoneal); anaphylactoid reaction Hemolysis- Inadequate removal of chloramine from dialysate, failure of dialysis concentrate delivery system Dementia- Incomplete removal of aluminum from dialysate water, prescription of aluminum antacids Seizure- Excessive urea clearance (first treatment), failure of dialysis concentrate delivery system Bleeding- Excessive heparin or other anticoagulant Muscle cramps- Excessive ultrafiltration